Which of the following statements is not true regarding its association with increased ageing:
1. Damage of the tissues due to free radical injury
2. Increased superoxide dismutase
3. Increased accumulation of free radicals
4. Increased cross-linkages in collagen

Correct answer: 2. Increased superoxide dismutase